Vitamin A intoxication cause injury to
1. Lysosomes
2. Mitochondria
3. Endoplasmic reticulum
4. Microtubules

Correct answer: 1. Lysosomes

Explanation: Higher concentration of retinol increases the synthesis of lysosomal hydrolases. The manifestations of hypervitaminosis A are attributed to the destructive action of hydrolases, particularly on the cell membranes.
Ref : Satyanarayana, 3rd ed, pg no.123